All the following are inhibitors of cytochrome oxidase except
1. Carbon monoxide
2. Amytal
3. Cyanide
4. Azide

Correct answer: 2. Amytal

Explanation: Site-III (Complex IV) * Cyanide * H2S * Azide transfer of electrons to molecular O2 * Co (Carbon monoxide): Inhibits Cyt. oxidase by combining with O2 binding site. It can be reversed by illumination with light. Amobarbital (Amytal) and Secobarbital: Inhibits electron transfer through NADH-Q reductase.Ref: MN Chatterjea Textbook of Medical Biochemistry, 8th edition, page no: 143